Rifampicin and ritonavir are:
1. Physical antagonist
2. Chemical antagonist
3. Pharmacokinetic antagonist
4. Competitive antagonist

Correct answer: 3. Pharmacokinetic antagonist

Explanation: Ans. C. Pharmacokinetic antagonista. Rifampicin is an enzyme inducer of CY3A4 and ritonavir is metabolized by CYP3A4.b. Thus rifampicin can antagonize ritonavir by inducing its metabolism; known as pharmacokinetic antagonism.